CSF otorrhoea is caused by -
1. Fracture of cribriform plate
2. Fracture of parietal bone
3. Fracture of petrous temporal bone
4. Fracture of tympanic membrane

Correct answer: 3. Fracture of petrous temporal bone